A lady wants LASIK surgery for her daughter. All the following are indications for performing LASIK surgery, EXCEPT:
1. Age of 15 years
2. Myopia of 4 Diopters
3. Stable refraction for 1 year
4. Corneal thickness of 600 microns

Correct answer: 1. Age of 15 years

Explanation: Currently FDA has approved the use of LASIK only in people above 18 years of age. Indications for performing LASIK includes myopia, myopic astigmatism and hyperopia. Hyperopia ranging upto 6 diopters is correctible but at a higher level of attempted correction, predictability is reduced. Ref: Lasik: Fundamentals, Surgical Techniques, and Complications By Dimitri T. Aza, Page 92; Lasik - Principles and Techniques By Lucio Bur a Ho, Page 25.